Munchausen's syndrome by proxy involves:
1. Drug abuse
2. Toxin mediated neuropsychiatric disorder
3. Illness caused by caregiver
4. All of the above

Correct answer: 3. Illness caused by caregiver

Explanation: Munchausen syndrome by proxy This rare disorder is where a parent or caregiver repeatedly fabricates an illness or disability in a child they are looking after, for the benefit of themselves. The adult involved is most frequently the child's mother, but not always. There are several important aspects to this condition The physical harm caused to the child through falsification of illness The impact upon the child's physical and emotional development The psychological status of the adult involved The majority of children involved are under 5 years.